Alpha feto protein is increased in:
1. Hepatoblastoma
2. Neuroblastoma
3. Seminoma
4. Renal cell carcinoma

Correct answer: 1. Hepatoblastoma

Explanation: IIepatoblastoma Alpha feto protein is elevated in almost all hepatoblastomas and is used in its diagnosis and monitoring. Other carcinomas in which alpha feto protein is elevated are: - Hepatocellular carcinoma - Germ cell tumor of testis (non-seminomas) Non-neoplastic conditions in which alpha feto protein is raised: - Cirrhosis - Hepatitis - Pregnancy Remember - Elevated AFP levels are also found less regularly in carcinomas of lung, colon and pancreas - AFP is a glycoprotein